The recommended rubber dam retainer for maxillary molar anchor teeth is
1. W7
2. W8
3. W4
4. W2

Correct answer: 2. W8